Which of the following is not seen with SLE?
1. Monoarthritis
2. Alopecia
3. Seizures
4. Leucopenia

Correct answer: 1. Monoarthritis

Explanation: Main lesion in SLE is synovitis and not monoarthritis. SLEis assiciated with polyarthritis but not monoarthritis Alopecia, seizures & leucopenia- seen in SLE Note Most common cause of death in SLE : Lupus nephritis "Full house effect" and "Wireloop lesions" are seen in Lupus Nephritis Arthropathy associated with SLE : Jaccoud arthropathy Antibody responsible for CNS Lupus : Anti Ribosomal P